Which of the following is a function of the golgi apparatus?
1. Modification of proteins
2. mRNA synthesis
3. Protein storage
4. tRNA synthesis

Correct answer: 1. Modification of proteins